Tumour marker for choriocarcinoma is -
1. CA 125
2. HCG
3. AFP
4. LDH

Correct answer: 2. HCG

Explanation: Ans. is 'b' i.e., HCG CancerTumor MarkerEndodermal sinus tumor/yolk sac tumorAFPEpithelial ovarian tumors (especially serous)CA-125Sertoli cell, Leydig cell, Hilus cell tumorsTestosteroneDysgerminomaLDH, alkaline phosphataseChoriocarcinomaHCG